Oxygen comes from alveoli to blood by-
1. Diffusion
2. Receptor mediated
3. Active transport
4. Osmosis

Correct answer: 1. Diffusion

Explanation: Ans. (a) Diffusion(Ref: Ganong, 25th ed/p.640)Diffusion means movement of molecules from area of high concentration to area of low concentrationGas exchange in lungs happens in the form of diffusion in lungs